Amplification of N myc is associated with which tumour ?-
1. Neuroblastoma
2. Retinoblastoma
3. Osteosarcoma
4. Neuroma

Correct answer: 1. Neuroblastoma

Explanation: Harshmohan textbook of pathology 7th edition. N- MYC oncogene: mutated MYC gene due to amplification seen in neuroblastoma, small cell carcinoma of lung..